Calcium is absorbed from:
1. Duodenum
2. Jejunum
3. Ileum
4. Colon

Correct answer: 1. Duodenum

Explanation: All the divalent cations, except Mg++ , are absorbed from duodenum. Mg++ is absorbed from ileum. Calcium is absorbed mainly in duodenum and upper jejunum, not whole of jejunum.